Renin is found in which of the following organs:
1. Liver
2. Kidney
3. Adrenal gland
4. Thyroid gland

Correct answer: 2. Kidney